Elevated AFP levels are seen in all of the following except -
1. Hepatoblastoma
2. Seminoma
3. Teratoma
4. None of the above

Correct answer: 2. Seminoma

Explanation: Ans. is 'b' i.e., Seminoma Ca o It is never elevated in seminomas. Presence of alpha feto protein rules out the diagnosis of seminomas.